Centre of air pollution control by WHO ?
1. Hyderabad
2. Bombay
3. Nagpur
4. Kanpur

Correct answer: 3. Nagpur

Explanation: Ans. is 'c' i.e., Nagpur